Which of the following is the commonest etiological agent of Bronchiolitis ?
1. HCV
2. HSV
3. RSVH
4. Influenza virus

Correct answer: 3. RSVH

Explanation: Description: Bronchiolitis refers to inflammation of the bronchioles. It is commonly found in infants and children and is caused by respiratory syncitial virus or adenovirus. Children presents with insidious onset of cough and dyspnea. PFT shows irreversible airflow obstruction.